Perkin's traction is used in
1. shaft of femur < 2years
2. shaft of femur 2-10years
3. shaft of femur >10years
4. shaft of femur in adults

Correct answer: 4. shaft of femur in adults

Explanation: Perkins traction-fracture shaft of femur in adults